Which of the following is used to differentiate tumour recurrence and radiation necrosis?
1. PET scan
2. MRI
3. 3D CT
4. USG

Correct answer: 1. PET scan

Explanation: ANSWER: (A) PET scanREF: Devita oncology 6th ed chapter 27PET may be used in therapeutic monitoring after chemotherapy or radiotherapy, with a classic indication being assessment for recurrent tumor versus radiation necrosis. Conventional imaging can not differentiate recurrent tumor from radiation necrosis